Not attached on medial border of scapula ?
1. Serratus anterior
2. Levator scapulae
3. Rhamboides major
4. Teres major

Correct answer: 4. Teres major

Explanation: Ans. is 'd' i.e., Teres majorMuscles attached to scapula are :-Coracoid process :- Tip of the coracoid process gives origin to coracobrachialis (medially) and short head of the biceps laterally.The upper surface receives insertion of pectoralis minor.Spine of scapula and acromion process :- There is origin of Deltoid and insertion of trapezius.Glenoid tubercle :- Supraglenoid tubercle gives origin to the long head of biceps and infra glenoid tubercle gives origin to long head of triceps.Lateral border :- Origins of teres minor and teres major.Medial border :- Insertions of serattus anterior (anteriorly); and rhomboideus major, rhomboideus minor and levator scapulae (posteriorly).Costal (anterior) surface (origin) Subscapularis.Dorsal surface (origins) Supraspinatus, infraspinatus and at inferior angle latissimus dorsi.